Extragonadal germ cell tumors occur in all of the following except -
1. Sacrococcygeal region
2. Mediastinum
3. Brain
4. Testis

Correct answer: 4. Testis

Explanation: Extragonadal germ cell tumors occur at : -

Mediastinum → M.C. site.      
Retroperitoneum  → 2nd M.C. site.     
Sacrococcygeal region → Sacrococcygeal teratoma.
Pineal gland